Which of the following is stiffest of all elastomeric impression material:
1. Polysulphides.
2. Condensation silicone.
3. Addition silicone.
4. Polyether

Correct answer: 4. Polyether